Passavant ridge ?
1. Superior constrictor and palatopharyngeus
2. Inferior constrictor and palatopharyngeus
3. Superior constrictor and palatoglossus
4. Inferior constrictor and palatoglossus

Correct answer: 1. Superior constrictor and palatopharyngeus

Explanation: Passavant ridge Near the superior margin of pharynx, a few fibres of superior constrictor blend with a band of muscle fibres belonging to the palatopharyngeus muscle. These fused fibres form a band or ring around the posterior wall and sidewalls of the nasopharyngeal isthumus. When the soft palate is elevated this muscle band appears as a ridge is known as passavant's ridge.